Most important pathophysiological cause of GERD is:
1. Hiatus hernia
2. Transient LES relaxation
3. Hypotensive LES
4. Intermittent changes in LES pressure tone

Correct answer: 2. Transient LES relaxation

Explanation: Ans. b. Transient LES relaxation